Acanthocytosis on peripheral smear is a feature of:
1. Uremia
2. Thalassemia trait
3. Abetalipoproteinemia
4. Paroxysmal nocturnal hemoglobinuria

Correct answer: 3. Abetalipoproteinemia

Explanation: Acanthocytosis: are abnormal blood cells normally not seen in circulation. They are also known as spur cells have less numerous spicules terminated by bulbs. With prominent neurological signs With deficit in lipoproteins Abetalipoproteinemia Hypolipoprotinemia HARP syndrome Witout deficit in lipoproteins Chorea acanthocytosis Mcleod syndrome Mitochondrial Cytopathies Secondary neurological signs due to a primary systemic disease Liver cirrhosis Anorexia nervosa Myxedema Psoriasis Eales disease Ref: Neuroacanthocytosis Syndromes, edited by Adrian Danek, Page 16